'Iris-pearls' are seen in
1. Syphilis
2. Tuberculosis
3. Leprosy
4. Sarcoidosis

Correct answer: 3. Leprosy

Explanation: LEPROTIC UVEITIS Leprosy (Hansen's disease) is caused by mycobacterium leprae which is an acid-fast bacillus. The disease occurs in two principal forms: lepromatous and tuberculoid. Leprosy involves predominantly anterior uvea; more commonly in lepromatous than in the tuberculoid form of disease. Clinical types: Lepromatous uveitis may occur as acute iritis (non-granulomatous) or chronic iritis (granulomatous). 1. Acute iritis: It is caused by antigen-antibody deposition and is characterised by severe exudative reaction. 2. Chronic granulomatous iritis: It occurs due to direct organismal invasion and is characterised by presence of small glistening 'iris pearls' near the pupillary margin in a necklace form; small pearls enlarge and coalesce to form large pearls. Rarely, a nodular lepromata may be seen. Treatment: Besides usual local therapy of iridocyclitis antileprotic treatment with Dapsone 50-100 mg daily or other drugs should also be instituted. Ref:- A K KHURANA; pg num:-155,156